A child brought will suspected ingestion, presented with dry mouth, dilated pupil, difficulty in swallowing, delirium, dry & warm skin, the substance is -
1. Anti-cholinergic
2. Sympathetic
3. Cholinergic
4. Alpha-blocker

Correct answer: 1. Anti-cholinergic

Explanation: DATURA active principle-hyoscine,hyocyamine,atropine Clinical Features of datura * Dryness of mouth (dry as bone) * Bitter taste * Difficulty in talking * Dysphagia* Dilated pupils * Diplopia* Difficulty in vision (blurring of vision, blind as bat) * Dry hot skin with flushing (red as beet) * Hyperpyrexia (hot as hare) * Drunken gait (ataxia) * Hyperreflexia * Convulsions * Delirium, hallucinations, agitation, amnesia, incoherence, visual or auditory hallucinations (mad as a hen) * Deficit of recent memory. Remote memory undisturbed * Dysuria * Distention of bladder (retention of urine) * Death. REF;THE SYNOPSIS OF FORENSIC MEDICINE:KS NARAYANA REDDY;28th EDITION;PAGE NO 344